Which of the following surgeries is not Bariatric surgery?
1. Banding gastroplasty
2. RouxEn-Y gastric bypass
3. Sleeve gastrectomy
4. Duodenojejunostomy

Correct answer: 4. Duodenojejunostomy

Explanation: Ans. (d) DuodenojejunostomyRef: Sabiston 20th Edition, Page 1168Types of Bariatric Surgery:Restrictive* Vertical banded gastroplasty* Adjustable silicone gastric banding* Sleeve gastrectomyMostly restrictive (and partly malabsorptive)* Short-limb (50-100cm) Roux-En-Y gastric bypass* Long-limb 150cm) Roux-En-Y gastric bypassMostly malabsorptive* Biliopancreatic diversion with or without duodenal switch